National family health survey is done:
1. Every 5 months
2. Every 5 years
3. Every 15 months
4. Biannually

Correct answer: 2. Every 5 years

Explanation: Every 5 years